Which of the following is an active metabolite of another drug and is available as a separate drug for the treatment of angina ?
1. Isosorbide mononitrate
2. Isosorbide dinitrate
3. Nitroglycerine
4. Propranolol

Correct answer: 1. Isosorbide mononitrate